Which of the following is not a yeast-like fungus:
1. Cryptococcus
2. Candida
3. Trichophyton
4. None

Correct answer: 3. Trichophyton

Explanation: Trichophyton is a dermatophyte.